All of the following characteristics differentiate a typical cervical veebrae from a thoracic veebrae except?
1. Has a triangular veebral canal
2. Has foramen transversarium
3. Superior aicular facet is directed backwards & upwards.
4. Has a large veebral body

Correct answer: 4. Has a large veebral body

Explanation: Has a large veebral body.CharacteristicsCervicalThoracicLumbar* Foramen transverversarium intransverse processpresent (transmitsveebral aery)absentabsent* Veebral foramentriangularcirculartriangular* Veebral bodysmall & broad fromside to sidemedium sized &hea shapedlarge & kidneyshaped* Sup. aicular facetsface backwards &upwardsbackwards &laterallyface medially* Inf. aicular facetsface downward &forwardface forward andmediallyface laterally* Facets for aiculation with ribs onbody & transverse processesabsentpresentabsent* Spinous processsmall & bifidlong & inclineddownwardssho, flat,quadrangular &project backward